Which of the following muscles is enclosed within the clavipectoral fascia ?
1. Pectoralis major
2. Serratus anterior
3. Coracobrachialis
4. Subclavius

Correct answer: 4. Subclavius

Explanation: Subclavius is enclosed inside clavipectoral fascia. BD CHAURASIA'S HUMAN ANATOMY VOLUME 1. 6TH EDITION. PAGE NO38. fig 3.12a